Which of the following sensations is most affected by cortical lesions
1. Proprioception
2. Temperature
3. Itch
4. Pain

Correct answer: 1. Proprioception

Explanation: Somatosensory cortex lesion- proprioception and tactile sensations are lost while pain and temperature sensations are preserved.